More resistance in expiration is due to:
1. Increased compression of airway
2. Due to change from linear to turbulent flow
3. Saturation with moisture
4. Increased rate of flow during expiration

Correct answer: 1. Increased compression of airway

Explanation: A i.e. Increased compression of airways